Modern IQL is not made up of:
1. Acrylic acid
2. PMMA
3. Silicon
4. Glass

Correct answer: 4. Glass

Explanation: Ans. Glass